As compared to permanent tooth, root formation in primary tooth:
1. Take less time
2. Take more time
3. Same time
4. Is complete when tooth erupts in oral cavity

Correct answer: 1. Take less time